Period of immobilization indicated in a young adult patient with a fracture of the angle, receiving early treatment in which tooth is retained in fracture line:
1. 3 weeks.
2. 4 weeks.
3. 5 weeks
4. 6 weeks.

Correct answer: 2. 4 weeks.

Explanation: Period of immobilization for fractures of tooth-bearing areas of mandible.

Young adult with fracture of the angle receiving early treatment in which tooth removed from fracture line= 3 weeks
If tooth retained in fracture line - 1 week is added. (3+1= 4 weeks)
If fracture occurs at the symphysis - 1 week is added. (4+1= 5 weeks)
If the patient age is 40 years and over - 1 or 2 weeks are added.
If fracture occurs in children and adolescents -Subtract 1 week.